Molecular classification of breast cancer is based on -
1. Gene expression profiling
2. Expression of hormone receptors (ER/PR)
3. Serum hormone levels
4. In-vitro response to chemotherapeutic agents

Correct answer: 1. Gene expression profiling

Explanation: . Gene expression profiling